Not a hepatotoxic drug ?
1. Chlorpropamide
2. Allopurinol
3. Streptomycin
4. Halothane

Correct answer: 3. Streptomycin

Explanation: Ans. is 'c' i.e., Streptomycin